Naso Labial cyst is thought to arise from
1. Remnants of cell rests of Serrae
2. Remnants of cell rests of Malassez
3. Remnants of cell rests of embryonic lacrimal duct
4. Maxillary sinus lining epithelium

Correct answer: 3. Remnants of cell rests of embryonic lacrimal duct